All the following are used in scabies except
1. BHC
2. Permethrin
3. Crotamiton
4. Ciclopirox olamine

Correct answer: 4. Ciclopirox olamine

Explanation: Cyclopirox oleamine is an topical antifungal. Some topical antifungals include: a. Ciclopirox olamine, b. Haloprogin, have same spectrum among cutaneous mycoses as imidazoles. c. Terbinafine, and d. Naftifine e. Tolnaftate effective against ringworm but not candidiasis. f. Undecylenic acid g. Keratolytic agents, such as salicylic acid, are helpful as accessory drugs for some hyperkeratotic skin lesions. Ref: Katzung 12 th ed.